Nissil's granules contains
1. Mitochondria
2. Golgi bodies
3. Smooth Endoplasmic reticulum
4. Ribosomes

Correct answer: 4. Ribosomes

Explanation: Nissil's granules contains rough endoplasmic reticulum and ribosomes